Mechanism of action of tranexaemic acid -
1. Anticoagulation
2. Fibrinolysis
3. Antifibrinolysis
4. Antiplatelets

Correct answer: 3. Antifibrinolysis

Explanation: Ans. is 'c' i.e., Antifibrinolysis o Has been explained in previous sessions